A thirty year old male presents to the emergency department with symptoms of epigastric pain radiating to back. He gives a history of epigastric pain that wakes him up at nights and is relieved by consuming food. His past history reveals past 2 episodes of perforated duodenal ulcers which were treated with omental patch surgeries. Pain before and after the surgery has been controlled with proton pump inhibitors and analgesics. The likely diagnosis on the occassion is
1. Gastric ulcer
2. Atrophic gastritis
3. Duodenal ulcer
4. Chronic pancreatitis

Correct answer: 3. Duodenal ulcer